Which of the following is not an indication for cholecystectomy:
1. 70 year old male with symptomatic gall stone
2. 20 years old male with sickle cell anemia and symptomatic gallstones
3. 65 year old female with a large gallbladder polyp
4. 55 year old with an asymptomatic gallstone

Correct answer: 4. 55 year old with an asymptomatic gallstone

Explanation: Answer is D (55 year old with an asymptomatic gallstone): Prophylactic cholecystectomy is not warranted in an asymptomatic patient.